For the following explanations for hirsutism, select the most likely cause.Can be associated with anovulation, obesity, and amenorrhea.
1. drugs
2. adrenal tumor
3. polycystic ovarian disease (PCOD)
4. idiopathic hirsutism

Correct answer: 3. polycystic ovarian disease (PCOD)

Explanation: The most severe form of PCOD, Stein-Leventhal syndrome, is associated with chronic anovulation, hirsutism, enlarged cystic ovaries, obesity, and amenorrhea. The spectrum of disease, however, is quite wide, and some patients have only mild hirsutism.